A person with intractable pain over the right leg is benefited by
1. Right spinothalamic tract cordotomy
2. Left Spinothalamic tract cordotomy
3. Right hemicordotomy
4. Left hemicordotomy

Correct answer: 2. Left Spinothalamic tract cordotomy

Explanation: (B) Left Spinothalamic tract cordotomy > Spinothalamic tract Touch sensation is transmitted by ventral spinothalamic tract Pain and temperature pain are transmitted by lateral spinothalamic tract> Fibers of spinothalamic tract cross in the anterior commissure of the cord to the opposite> Hence intractable pain over the right leg is benefited by left spinothalamic tract cordotomy.> In anterolateral cordotomy, the spinothalamic tracts are carefully cut to relieve severe pain.